The main disadvantage of using wing shaped rubber dam retainer is:
1. It does not provide extra retention of the rubber dam
2. Laceration to the gingival tissue
3. Interferes with placement of matrix band
4. None of the above

Correct answer: 3. Interferes with placement of matrix band